The transition between the stomach and duodenum is marked by
1. Vein of Mayo
2. Hepatoduodenal ligament
3. Gastroduodenal artery
4. Incisura

Correct answer: 1. Vein of Mayo

Explanation: Prepyloric vein of mayo distinguishes pyloric canal from the first part of the duodenum. The angular incisure or angular notch also called the incisura angularis, is a small anatomical notch on the stomach located on the lesser curvature of the stomach near the pyloric end. Its location varies somewhat in position with the state of distension of the internal organs The gastroduodenal artery is a blood vessel that arises from the common hepatic artery The hepatoduodenal ligament is the portion of the lesser omentum extending between the porta hepatis of the liver and the superior part of the duodenum Reference: SRB 5 th edition page no.815